Which of the following type of glucose transporter is present in the skeletal muscle and adipose tissue?
1. GLUT 1
2. GLUT 2
3. GLUT 3
4. GLUT 4

Correct answer: 4. GLUT 4

Explanation: GLUT 4 receptors are present in heart, skeletal muscle and adipose tissue. It's function is to mediated insulin stimulated glucose uptake. Types of major glucose transporters: Tissue Location Functions GLUT 1 Brain, kidney, colon, placenta, erythrocytes Glucose uptake GLUT 2 Liver, pancreatic beta cell, small intestine, kidney Rapid uptake or release of glucose GLUT 3 Brain, kidney, placenta Glucose uptake GLUT 4 Heart and skeletal muscle, adipose tissue Insulin-stimulated glucose uptake GLUT 5 Small intestine Absorption of glucose Ref: Bender D.A., Mayes P.A. (2011). Chapter 20. Gluconeogenesis & the Control of Blood Glucose. In D.A. Bender, K.M. Botham, P.A. Weil, P.J. Kennelly, R.K. Murray, V.W. Rodwell (Eds), Harper's Illustrated Biochemistry, 29e.